In Marfan's syndrome defect is in
1. Fibrillin I
2. Fibrillin II
3. Collagen
4. Elastin

Correct answer: 1. Fibrillin I

Explanation: Marfan syndrome is caused by a mutation in FBNI gene encoding fibrillin. The major tissue effected are skeleton, eyes and cardiovascular system Refer robbins 146